Strontium ranelate is approved for treatment of:
1. Asthma
2. Cystic fibrosis
3. UTI
4. Osteoporosis

Correct answer: 4. Osteoporosis

Explanation: Strontium ranelate is approved in several European countries for the treatment of osteoporosis. It increases bone mass throughout the skeleton; in clinical trials, the drug reduced the risk of vertebral fractures by 37% and nonvertebral fractures by 14%. It appears to be modestly antiresorptive, while at the same time not causing as much of a decrease in bone formation (measured biochemically). Ref: Harrison's principle of internal medicine 17th edition, chapter 338.